Which of the following is NOT a prion disease?
1. Bovine spongiform encephalopathy
2. Transmissible mink encephalopathy
3. Scrapie
4. Progressive multifocal leucoencephalopathy

Correct answer: 4. Progressive multifocal leucoencephalopathy

Explanation: Ans. is 'd' i.e., Progressive multifocal leucoencephalopathy